Montenegro test is used for diagnosis of:
1. Kala azar
2. Leprosy
3. Malaria
4. Leptospirosis

Correct answer: 1. Kala azar

Explanation: Montenegro or Leishmanin test is a skin test used for diagnosis of kala azar. Intradermal injection of 0.1 ml leishmanin antigen is given on flexor surface of forearm. The skin is examined for for induration after 48 to 72 hours. A reading of >5 mm is considered positive for kala azar. Ref: Park 21st edition, page 281.